In a case of chest pain with pericarditis and pericardial effusion, pain is referred by -
1. Phrenic nerve
2. Superficial cardiac plexus
3. Deep cardiac plexus
4. Vagus nerve

Correct answer: 1. Phrenic nerve

Explanation: Parietal pericardium is supplied by Phrenic nerve.